The best investigation for dating pregnancy Is :
1. Crown rump length at 9 weeks
2. BPD at 18 weeks
3. Abdominal circumference at 24 weeks
4. BPD at 24 weeks

Correct answer: 1. Crown rump length at 9 weeks

Explanation: Crown rump length at 9 weeks